A specimen from a lung biopsy reveals occasional plexiform lesions within pulmonary arterioles. This abnormality is most characteristic of
1. Churg-Strauss syndrome
2. Adult respiratory distress syndrome
3. Wegener's granulomatosis
4. Pulmonary hypertension

Correct answer: 4. Pulmonary hypertension

Explanation: ) Pulmonary vascular sclerosis refers to the vascular changes associated with pulmonary hypertension. Elevation of the mean pulmonary arterial pressure is the result of endothelial dysfunction and vascular changes. The vascular changes vary with the size of the vessel. The main arteries have atheromas that are similar to systemic atherosclerosis, but are not as severe. Medium-sized arteries show intimal thickening and neomuscularization. Smaller arteries and arterioles show intimal thickening, medial hypertrophy, and reduplication of the internal and external elastic membranes. A distinctive arteriolar change, a plexiform lesion, consists of intraluminal angiomatous tufts that form webs. This pattern is thought to be diagnostic of primary hypertension The changes of pulmonary vascular sclerosis may be primary or secondary. Primary pulmonary vascular sclerosis almost always occurs in young women, who develop fatigue, syncope (with exercise), dyspnea on exertion (DOE), and chest pain. Secondary sclerosis may occur at any age, and symptoms depend on the underlying cause. Possible causes include certain types of heart disease, such as mitral valve disease, left ventricular failure, and congenital valvular disease with left-to-right shunt, as well as certain types of pulmonary disease, such as chronic obstructive or interstitial lung disease and recurrent pulmonary emboli. Pulmonary hypertension is also associated with diet pills (Redux and Fen-Phen), while "exotic" causes include Crotalaria spectabilis ("bush tea") and adulterated olive oil Reference: Robbins & Cotran Pathologic Basis of Disease, 9edition.